Perforators are not present at:
1. Ankle
2. Medial calf
3. Distal to calf
4. Below inguinal ligament

Correct answer: 4. Below inguinal ligament

Explanation: Perforators Location (IN CBD HUNTERS) Below the medial malleolus (Inframallelor Perforators/May or kuster) In the medial calf (Cockett's Perforators) Just below the knee (Boyd's perforators) Just above the knee (Dodd's Perforators) At the level of adductor canal (Hunterian Peforators) Ref: Sabiston 20th edition Pgno: 1828